A 30-year-old lady C/O sudden onset of breathlessness, anxiety, palpitation, and feeling of impending doom. Physical examination is normal. Diagnosis is:
1. Panic attack
2. Anxiety disorder
3. Conversion disorder
4. Acute psychosis

Correct answer: 1. Panic attack

Explanation: Ans. A i.e. Panic attack-A panic attack is the abrupt onset of intense fear or discomfort that reaches a peak within minutes.-The symptoms include Palpitation, Sweating, Trembling or shaking, Shortness of breath or smothering sensation, Choking sensation, Chest pain or discomfort Nausea or Abdominal distress, Dizziness, Light-headedness, Chills or heat sensation, Paraesthesia's, Derealisation or depersonalization, Fear of losing control or "going crazy", Fear of death.